The most useful method to diagnose upper GI haemorrhage is -
1. Barium study
2. Celiac angiography
3. Gastric biopsy
4. Endoscopy

Correct answer: 4. Endoscopy